Complications of tuberular meningitis include all except
1. Hydrocephalus
2. Cortical venous thrombosis
3. Cerebral Artery Thrombosis
4. Cranial Nerve Palsy

Correct answer: 2. Cortical venous thrombosis

Explanation: harrison's textbook of internal medicine 17th edition . *paresis of cranial nerves(ocular nerve in particular ) is a frequent finding ,and involvement of cerebral arteries may produce focal ischemia . *The ultimate evolution is towards coma ,with hydrocephalus and intracranial tension.